How is a two year old positioned for an emergency
examination of a fractured incisor?
1. On the dental assistants Lap
2. On the parents lap
3. On the dental chair
4. In the papoose board

Correct answer: 2. On the parents lap